Aspergillus causes all except:
1. Bronchopulmonary allergy
2. Otomycosis
3. Dermatophytosis
4. Keratitis

Correct answer: 3. Dermatophytosis

Explanation: Ans. is 'c' i.e., Dermatophytosis(Ref: Harrison, 18th/e, p. 1655, 16561)* Dermatophytosis is caused by dermatophytes and Aspergillus is not a dermatophyte. Other options are correct.